The H3 receptor agonist exhibits all of the following actions except
1. Inhibition of H1 receptors induced wakefulness
2. Increase in H1 mediated gastric secretion
3. Inhibition of H1 mediated bronchoconstriction
4. Negative chronotropic effect on atria

Correct answer: 2. Increase in H1 mediated gastric secretion

Explanation: H3 receptors act as presynaptic receptors and decrease the release of histamine and other neurotransmitters. this antagonize H1 mediated wakefulness and bronchoconstriction. these also decrease gastrin release and produced negative chronotropic effect inverse agonist and H3 receptor(tiprolisant) is proved for narcolepsy. Refer KDT 6/e p153